A 2 years old male is brought to the hospital there is a compressible swelling at the root of nose, likely diagnosis is
1. Meningoencephalocele
2. Lacrimal sac cyst
3. Ethmoid sinus cyst
4. Orbital extension arterial malformation

Correct answer: 1. Meningoencephalocele

Explanation: Ans. is 'a' i.e.meningoencephalocele It is herniation of the brain along with meninges through a congenital bony defectSwelling shows cough impulse*.It may be reducible.